Increased tendency to fall asleep at night without causing CNS depression is a property exhibited by
1. Pyridoxine
2. Diphenhydramine
3. Melatonin
4. Ethanol

Correct answer: 3. Melatonin